Uses of alpha 2 agonists are all EXCEPT
1. To produce sedation
2. Glaucoma
3. Benign hyperplasia of prostate
4. Hypertension

Correct answer: 3. Benign hyperplasia of prostate

Explanation: Alpha 2 antagonists like prazosin, tamsulosin are used in BPH, as they relax urinary bladder neck and the prostate capsule. All the others are the uses of alpha 2 agonists. From medical pharmacology Padmaja 4th edition page no 101,103